Which is a smooth bored weapon
1. Rifle
2. Shot gun
3. Revolver
4. Pistol

Correct answer: 2. Shot gun

Explanation: Shot gun These are single or double barrelled smooth bored weapons in which pellets are used as projectile. Shot guns may be muzzle loading or breech loading. It may be of single barrel or double barrel. In double barrel, the lower barrel is used for loading caridges. Ref: FORENSIC MEDICINE AND TOXICOLOGY DR PC IGNATIUS THIRD EDITION PAGE 137